Increased anion gap metabolic acidosis is seen in all except :
1. Starvation
2. Salicylate poisoning
3. Lactic acidosis
4. Diarrhoea

Correct answer: 4. Diarrhoea

Explanation: diarrhoea I. Lactic acidosis 2.Toxins - Ethylene glycol - Methanol - Salicylates 3.Renal failure 4. Ketoacidosis - Diabetes - Alcohol - Starvation Causes of High anion gap acidosis